Calculate the anion gap from the following information: Na+ = 137 mmol/L K+ = 4 mmol/L Cl- = 110 mmol/L HCO3- = 15 mmol/I.
1. 22 mmol/L
2. 16 mmol/L
3. 10 mmol/L
4. 12 mmol/L

Correct answer: 4. 12 mmol/L

Explanation: Anion gap = Na+ - (Cl- + HCO3-) = 137 - (110 + 15) = 12 mmol/L The value of potassium is not considered in anion gap